Pseudo jaundice is seen during the treatment with which antituberculous agent?
1. Rifabutin
2. Clarithromycin
3. Pyrazinamide
4. Ethambutol

Correct answer: 1. Rifabutin

Explanation: Less common adverse reactions of rifabutin are flu like syndrome, anterior uveitis, Clostridium difficile-associated diarrhea, a diffuse polymyalgia syndrome, and yellow skin discoloration "pseudo-jaundice". Reference: Harrisons Principles of Internal Medicine, 18th Edition, Page 1377